Muscle relaxant contraindicated in Renal failure is –
1. Gallamine
2. d-TC
3. Vecuronium
4. Atracurium

Correct answer: 1. Gallamine